The explosive and widespread form of secondary syphilis in immune compromised individual is known as:
1. Condylomata lata
2. Mucous patches
3. Lues maligna
4. Lupus vulgaris

Correct answer: 3. Lues maligna

Explanation: Malignant syphilis or lues maligna is an uncommon form of secondary syphilis, which usually occurs in immunosuppressed patients, mainly those who have HIV infection.